Who gave the term ECC (Early Childhood Caries)?
1. Davies
2. Moss
3. Winter
4. Dilley

Correct answer: 1. Davies